Most Donation after Circulatory Death (DCD) Donors are included in Maastricht category:
1. 2
2. 3
3. 4
4. 5

Correct answer: 2. 3

Explanation: ORGAN DONORS - Organ donors are of two types: Dead or deceased donors & living donors. Maastricht classification for donation after circulatory death (DCD) Donors Category Description (DRACUla) 1 Dead on arrival at hospital 2 Resuscitation attempted without success 3 Awaiting cardiac arrest after withdrawal of support (Most DCD donors from category 3 ) 4 Cardiac arrest while brain dead 5 Cardiac arrest & unsuccessful resuscitation in hospital